Meiosis occurs in human males in
1. Epididymis
2. Seminiferous tubules
3. Vas deferens
4. Seminal vesicles

Correct answer: 2. Seminiferous tubules

Explanation: Human embryology; Inderbir Singh; Tenth editionIn males, meiosis occurs in seminiferous tubules